SA 14-14-2 strain is used in the preparation of
1. JE vaccine
2. Thyphoid vaccine
3. Influenza vaccine
4. HPV vaccine

Correct answer: 1. JE vaccine

Explanation: ForJapanese encephalitis the inactivated mouse brain-derived (IMB) vaccine is now commonly replaced by cell culture-based vaccines. A live attenuated vaccine based on the SA 14-14-2 strain of the JE virus is widely used Ref : Ananthanarayana textbook of Microbiology 9th edition Pgno : 520